Cavity formation in bronchogenic carcinoma occurs in
1. Oat cell carcinoma
2. Squamous cell carcinoma
3. Adenocarcinoma
4. Bronchoalveolar

Correct answer: 2. Squamous cell carcinoma